Transport maximm (Tm) means -
1. Maximum reabsorption & secretion
2. Maximum amount of glomerular filtration /min
3. Substance cleared from plasma/min
4. Amount of toxic substances excreted /min

Correct answer: 1. Maximum reabsorption & secretion

Explanation: A i.e. Maximum reabsorption & secretion